A patient is unable to move eye outw ard beyond midline. The lesion is in -
1. Trochlear nerve
2. Obturator nerve
3. Abducent nerve
4. None

Correct answer: 3. Abducent nerve

Explanation: Ans. is c' i.e., Abducent nerve o Inability.' to move the eye outward beyond midline suggests lateral rectus palsy, which is responsible for abduction. There are six extraocular muscles in each eye.o All the extra ocular muscles are supplied by the occulomotor nerve except for the superior oblique which is supplied by the trochlear nerve and the lateral rectus which is supplied by the abducens nerve.o The occulomotor nerve also supplies the levator palpebrae superioris, sphincter papillae and the ciliary muscle,There are six extraocular muscles in each eye.MusclePrimary ActionSecondary ActionSuperior rectusElevationAdduction and intorsionInferior rectusDepressionAdduction and extorsionMedial rectusAdduction Lateral rectusAbduction Superior obliqueIntorsionAbduction and depressionInferior obliqueExtorsionAbduction and elevationo All the extra ocular muscles are supplied by the occulomotor nerve except for the superior oblique which is supplied by the trochlear nerve and the lateral rectus which is supplied by the abducens nerve.o The occulomotor nerve also supplies the levator palpebrae superioris, sphincter papillae and the ciliary muscle.